Rods and cones differ in all except
1. Signal transduction
2. Light sensitivity
3. Wavelength
4. Acuity

Correct answer: 1. Signal transduction

Explanation: In both rods and cones, the signal transduction mechanism is the same Rods are useful for dim/night vision, cones are used for bright/day vision Ref:: Ganong 25th ed/page 178